Rigor mortis not seen in:
1. Fetus < 7 months of age
2. Full term fetus
3. Elderly
4. Anemic person

Correct answer: 1. Fetus < 7 months of age

Explanation: Ans. Fetus < 7 months of age